TIGAR-O classification is for:-
1. Acute pancreatitis
2. Chronic pancreatitis
3. Pancreatic cancer
4. Pancreatic injuries

Correct answer: 2. Chronic pancreatitis

Explanation: TIGAR-O Classification of Etiology of Chronic Pancreatitis * T - Toxic - Metabolic I - Idiopathic G - Genetic A - Auto Immune R - Recurrent severe O - Obstructive